'Whip-lash’ injury is caused due to
1. A fall from a height
2. Acute hyperextension of the spine
3. A blow on top to head
4. Acute hyperflexion of the spine

Correct answer: 2. Acute hyperextension of the spine

Explanation: syn: acceleration injury, cervical sprain syndrome, soft tissue neck injury

* it is an unconventional & inconsequential ligamentous injury of the cervical spine allegedly due to an extension injury following a rear-end collision in an RTA
* clinical features: symptoms - upper neck pain becomes worse with movement - an occipital headache - neck stiffness - rarely vertigo, auditory or visual disturbance: sign - decreased range of movements - neck muscles spasm
* investigation - x-ray usually normal. MRI helps to make a diagnosis 
* treatment - conservative